Degree of mental disability of a child (low IQ), who is able to speak well enough for most  communication needs, is classiﬁed as:
1. Moderate
2. Mild
3. Severe
4. Profound

Correct answer: 2. Mild

Explanation: Classification of Intellectual Disability